Which of the following is not true about dopamine action
1. D1 agonist
2. Alpha agonist
3. Beta 1 agonist
4. Beta 2 agonist

Correct answer: 4. Beta 2 agonist

Explanation: Ref: HL Sharma 3rd ed pg no:173 dopamine acts on D1, D2, Beta1, alpha1 alpha action is seen at high doses. It doesn't act on beta 2 or beta 3 receptors